Functions of basal ganglia include:
1. Planning and voluntary movements
2. Sensory integration
3. Short term memory
4. Coordination of motor function

Correct answer: 1. Planning and voluntary movements

Explanation: A. i.e. Planning and voluantry movementsFunction of basal ganglia i.e. (caudate nucleus, putamen, globus pallidus, substantia nigra, subthalmic nucleus, amygdaloid nucleus, striatum, & lenticular nucleus) is planning & programming of voluntary movements